True about Hb dissociation curve is:
1. Acidosis shifts 02 dissociation curve to right
2. T CO2 shifts the curve to left
3. Hypoxia shifts curve to left
4. All

Correct answer: 1. Acidosis shifts 02 dissociation curve to right

Explanation: A i.e. Acidosis shifts O2 dissociation curve to right